Knutson's technique of fluoride application is done the following years:
1. 3, 7, 11, 13
2. 2, 6, 10, 16
3. 8, 13, 18, 31
4. 2, 7, 11, 18

Correct answer: 1. 3, 7, 11, 13